Most common defect in hereditary spherocytos is in -
1. Spectrin
2. Ankyrin
3. Band 3
4. Band 4.2

Correct answer: 2. Ankyrin

Explanation: Ans. is 'b' i.e., Ankyrin Hereditary spherocytosis is caused bv a variety of molecular defects in genes that code for any of the followingAnkyrin - Most common (chief component responsible for biconcave shape)Band 3 - Second most commonSpectrinBand 4.2